Primary sclerosing cholangitis is associated with
1. Ulcerative cholangitis
2. Retroperitoneal fibrosis
3. Reidel's thyroiditis
4. All of the above

Correct answer: 4. All of the above

Explanation: Features of ulcerative colitis in case of PSC(70%).PSC may be associated with retroperitoneal fibrosis,mediastinal fibrosis,Riedel's thyroiditis,orbital pseudotumour. Reference:SRB's manual of surgery,5th edition,page no:658.